TRUE regarding the main function of Apoprotein C II
1. Cholesterol synthesis
2. TG transport
3. Increases activity of lipoprotein lipase
4. Fatty acid synthesis

Correct answer: 3. Increases activity of lipoprotein lipase

Explanation: Lipoprotein Lipase:- LPL:-a.Triacylglycerol of chylomicrons and VLDL are hydrolyzed by LPL.b.LPL is located in the wall of blood capillaries,anchored to endothelium, by negatively.charged Heparin sulfate.c.It is found in Heart,Adipose tissue, spleen, lungs,renal medulla, Aorta,diaphragm, Lactating mammary glands and Neonatal Liver not found in Adult liver.d.Following injection of " LPL is released from endothelium into circulation and is accompan ied by the clearing of Lipemia.e.Insulin enhances its synthesis in Lipocytes.It is activated by Apo CII .